The drug of choice for Kala-azar is:
1. Pentamidine
2. Liposomal amphotericin B
3. Sodium stibogluconate
4. Ketoconazole

Correct answer: 2. Liposomal amphotericin B

Explanation: - KALA AZAR / VISCERAL LEISHMANIASIS - DOC: Single iv infusion of LIPOSOMAL AMPHOTERICIN B - SODIUM STIBOGLUCONATEis used for: Mucocutaneous leishmaniasis Kala azar Given IM - MILTEFOSINE: Only oral drug for Kala azar